The use of pit and fissure sealant is contraindicated in
1. Arrested caries
2. Recalcitrant caries
3. Remedial caries
4. Rampant caries

Correct answer: 4. Rampant caries